The main site of bicarbonate re-absorption is:
1. Proximal convoluted tubule
2. Distal convoluted tubule
3. Cortical collecting duct
4. Medullary collecting duct

Correct answer: 1. Proximal convoluted tubule

Explanation: Proximal convoluted tubule is the main site of bicarbonate absorption. About 80 to 90 percent of bicarbonate re-absorption occurs in the proximal tubule. Ref:Textbook of Medical Physiology By Guyton, 10th Edition, Page 353